An 10 month-old baby is brought to the pediatric clinic with symptoms of diarrhea, hair loss and failure to thrive. On clinical examination, there is inflammation of the skin around the mouth and the perianal region. The mineral deficiency responsible for this disease is a cofactor for all of the following enzymes except?
1. Lactate dehydrogenase
2. Alcohol dehydrogenase
3. Glutathione peroxidase
4. Alkaline phosphatase

Correct answer: 3. Glutathione peroxidase

Explanation: The above features, strongly suggest a diagnosis of Acrodermatitis enteropathica which is due the deficiency is of zinc and it is a cofactor for Lactate dehydrogenase. It is an autosomal recessive disease due to a defect in zinc absorbing transmembrane protein. Symptoms: Growth retardation Diarrhea Alopecia Dermatitis around the orifices Gonadal atrophy Impaired wound healing Zinc acts as a cofactor for: Carbonic anhydrase Carboxypeptidase Lactate dehydrogenase Alcohol dehydrogenase Alkaline phosphatase Reference: Harpers illustrated biochemistry 30th edition